HPV associated with Laryngeal Papilloma are?
1. 13 & 32
2. 16 & 18
3. 6 8c 11
4. 16 8c 32

Correct answer: 3. 6 8c 11

Explanation: ANSWER: (C) 6 & 11REF: Robbins 7th edition page 324See APPENDIX-31 below for "HUMAN PAPILLOMA VIRUS" APPENDIX - 31Human Papilloma Virus:DiseaseHPV TypeCommon warts2, 7Plantar warts1, 2, 4, 63Flat warts3,10Anogenital warts6,11, 42, 44 and others(types 6 and 11 account for about 90% of all cases)Genital cancersHighest risk: 16,18, 31, 45 HPV types (16 and 18 cause 70% of cervical cancer)Other high-risk: 33, 35, 39, 51, 52, 56, 58, 59 Probably high-risk: 26, 53, 66, 68, 73, 82Epidermodysplasia verruciformisHPV types 5 and 8Heck's disease- Focal epithelial hyperplasia (oral)13, 32Oral papillomas6, 7,11,16, 32HPV-positive Oropharyngeal cancer16Laryngeal papillomatosis6,11